A man comes to emergency with stab injury to left flank. He has stable vitals. What would be the next step in management.
1. CECT
2. Diagnostic peritoneal lavage
3. Laprotomy
4. Laproscopy

Correct answer: 1. CECT

Explanation: According to EAST Guidelines “Current recommendations for nonoperative management of penetrating trauma include use of Triple Contrast CT (IV, oral and rectal) and serial examinations.”
• Gunshot Abdominal Wounds:
−− Chances of internal injury is very high in gunshot wounds, thus little pre-operative evaluation is required and laparotomy is mandatory.
• Stab Wounds to Abdomen:
−− Exploratory laparotomy is indicated in patients with isolated penetrating abdominal wound if hypotensive or in shock or showing peritoneal signs.